Anti progesterone is RU-486 is also called?
1. Mifeprestone
2. Gossypol
3. Centchroman
4. Misoprostol

Correct answer: 1. Mifeprestone

Explanation: ANSWER: (A) MifeprestoneREF: Shaw 13th ed p. 233RU-486 is other name of mifeprestone